Cell mediated immunity is
1. Type1
2. Type2
3. Type3
4. Type4

Correct answer: 4. Type4

Explanation: Ref Robbins 8/e p197; 9/e p24 Type hypersensitivity reactions have been given the following names: Immediate type1 hypersensitivity Antibody mediated type 2 hypersensitivity Immune complex mediated or type3 hypersensitivity Cell mediated or type4 hypersensitivity